Common pathological changes seen in kidney in benign hypertension are -
1. Fibrinoid necrosis
2. Microaneurysm
3. Hyaline arteriosclerosis
4. Thining of walls

Correct answer: 3. Hyaline arteriosclerosis